Puppe's rule deals with ?
1. Chemical injuries
2. Multiple impact injuries
3. Sexual assault
4. Percentage of burns

Correct answer: 2. Multiple impact injuries

Explanation: Ans. is 'b' i.e., Multiple impact injuries Puppe's rule It deals with multiple impact injuries. In multi impact injuries fracture systems form a network, and according to puppe's rule the later fractures will not the earlier ones, but will terminate at the earlier ones. Thus it is used to reliably diagnose the sequence of the impact injuries. The rule was developed by Madea and is typically used to diagnose the sequence of shots in bullet injuries.